Reversed "3" sign on barium studies is seen in which condition:
1. Ampullary carcinoma
2. carcinoma stomach
3. Carcinoma head of pancreas
4. Insulinoma

Correct answer: 3. Carcinoma head of pancreas

Explanation: Ans. C: Carcinoma head of pancreas Plain radiographs have no role in establishing a firm diagnosis of pancreatic carcinoma. Pancreatic calcifications may be seen concurrently in approximately 2% of patients who have chronic pancreatitis complicated by pancreatic carcinoma. Upper GI barium studies may reveal an extrinsic impression of the mass on the posteroinferior aspect of the antrum of the stomach. This is known as antral pad sign. The medial margin of the descending duodenum may be pulled medially at the level of the ampulla, forming a reversed-3 appearance. This is known as Frostberg 3 sign. Infiltration of the duodenal mucosa may cause a spiculated appearance with irregularity and thickening of the duodenal mucosa.